Ammonia formed in brain, is converted into
1. Glutamine
2. Glycine
3. Cysteine
4. Urea

Correct answer: 1. Glutamine

Explanation: The transport form of Ammonia in blood and from Brain is Glutamine. Glutamine is Non-toxic form of storage and transportation of ammonia in blood. In liver this ammonia is used for the production of urea.